Split skin grafts in children should be harvested from
1. Buttocks
2. Thigh
3. Trunk
4. Upper limb

Correct answer: 1. Buttocks

Explanation: A split-thickness skin graft(STSG) is a skin graft including the epidermis and part of the dermis. Its thickness depends on the donor site and the needs of the person receiving the graft.A full-thickness skin graft consists of the epidermis and the entire thickness of the dermis. Split skin grafts in children should be harvested from Buttocks. Reference: GHAI Essential pediatrics, 8th edition